HBs Ag positive person may have all of the following associated Renal lesions, Except:
1. Membranous Glomerulonephritis (MGN)
2. Membrano proliferative Glomerulnephritis (MPGN)
3. Mesangiocapillary Glomerulonephritis
4. Focal Segmental Glomerulosclerosis (FSGS)

Correct answer: 4. Focal Segmental Glomerulosclerosis (FSGS)

Explanation: Answer is D (Focal Segmental Glomerulosclerosis) Focal Segmental Glomerulosclerosis (FSGS) has not been mentioned in association with hepatitis B associated Glomerulonephritis Glomerulonephritis associated with Hepatisis B include, MGN, MPGN and Mesangiocapillaty GN Glomerulonephritis during chronic Hepatitis B infection Membranous Glomerulonephritis (MGN) Membranoproliferatiye Glomerulonephritis (MPGN) Mesanglocapillary glomerulonephritis Note MGN is most commonly seen in childrenQ MPGN is most commonly seen in adultsQ